Incompletly descended testis is commonest on?
1. Right side
2. Left side
3. Both side
4. Right sided only

Correct answer: 1. Right side

Explanation: Ans. is 'a' i.e., Right side